Quellung reaction is seen with:
1. Pneumococcus
2. Gonococcus
3. Streptococcus
4. Staphylococcus

Correct answer: 1. Pneumococcus

Explanation: Quellung reaction Capsular swelling due to serological reaction Pneumococcal Capsular antigen + Antibody causes Capsular swelling Note:- MC fadyean's reaction Done for bacillus anthracis capsule (polypeptide)